In Testicular Feminization syndrome Gonadectomy is indicated :
1. As soon as it is diagnosed
2. At puberty
3. Only when Malignancy develops in it
4. When hirsutism is evident

Correct answer: 2. At puberty

Explanation: At puberty Patients of Testicular Feminization syndrome (Androgen insensitivity) are genotypically males (Karyotype 46XY) but phenotypically females (i.e. male pseudo hermaphroditism). Due to the presence of Y chromosome gonads are testis which remain intraabdominal and have a malignant potential (Most common = Gonadoblastoma, Dysgerminoma). Therefore testis should be removed in such patients. B/L Laparoscopic Gonadectomy is the preferred proceduredeg. As far as timing of Gonadectomy is concerned ? "In patient with complete androgen insensitivity, the testis should be removed 'ter Pubertal developmen is complete to prevent malignant degeneration.